Pseudopancreatic cyst in a child is commonly due to –
1. Annular pancreatitis
2. Drug induced pancreatitis
3. Traumatic pancreatitis
4. Choledochal cyst

Correct answer: 3. Traumatic pancreatitis

Explanation: Blunt abdominal trauma is the most common cause of acute pancreatitis in childhood.
Pseudcyst occurs in up to 15% of patients as a complication of acute pancreatitis.